During normal delivery, if you encounter shoulder dystocia, what is the next measure.
1. Hyperflexion of things on maternal abdomen
2. Cesarean section
3. Posterior shoulder rotation and delivery of impacted posterior arm
4. Anterior shoulder rotation and delivery of the posterior arm

Correct answer: 1. Hyperflexion of things on maternal abdomen

Explanation: Ref. The Short Textbook of Obstetrics. Page. 227
 
Management of shoulder dystocia –

Extra help to be called (paediatrician and anesthetist to b informed )
Mc Roberts Maneuvre : Abduct the maternal thighs and sharply hyperflex them onto abdomen .
Woods manoeuver: General anaesthesia is administered .The posterior shoulder is rotated to anterior position (180 degree ) by a corkscrew movement .
Extraction of the posterior arm